What is the most effective treatment in levodopa-induced psychosis?
1. Quetiapine
2. Chlorpromazine
3. Trifluoperazine
4. Haloperidol

Correct answer: 1. Quetiapine

Explanation: Levodopa induced psychosis Hallucinations,confusion in elderly patients Rx - Conventional antipsychotic agents (Phenothiazines) but worsens Parkinsonism , so not recommended Atypical" antipsychotic agents(Clozapine ,Quetiapine)